Ligation of the following nerve will lead to paresthesia and pain on the dorsum of foot during venesections of great saphenous vein:
1. Sural nerve
2. Geniculate
3. Saphenous nerve
4. Deep peroneal nerve

Correct answer: 3. Saphenous nerve

Explanation: Saphenous vein ligation and stripping is still the more commonly performed procedure worldwide, and it may be the preferred therapy for patients with GSVs of very large diameter (>2 cm). Complications associated with GSV stripping include ecchymosis, lymphocele formation, DVT, infection, and saphenous nerve injury. The saphenous nerve is the terminal sensory branch of the femoral nerve and supplies cutaneous sensation to the medial aspect of the leg about and below the knee. Injury to the nerve cause pain or impaired sensation in the distribution of the nerve. Ref: Liem T.K., Moneta G.L. (2010). Chapter 24. Venous and Lymphatic Disease. In F.C. Brunicardi, D.K. Andersen, T.R. Billiar, D.L. Dunn, J.G. Hunter, J.B. Matthews, R.E. Pollock (Eds), Schwartz's Principles of Surgery, 9e.